Median is important for all except:
1. Incubation period
2. Survival time
3. Blood pressure
4. Health expenses

Correct answer: 3. Blood pressure

Explanation: Applications of Central Tendency